Following is true about small cell carcinoma of lungs except
1. It is a poorly differentiated neuroendocrine tumor
2. Usually presents as central mass
3. Cells show salt and pepper chromatin pattern
4. Less associated with paraneoplastic syndromes as compared to non small cell lung cancers

Correct answer: 4. Less associated with paraneoplastic syndromes as compared to non small cell lung cancers

Explanation: Ans. is 'd' i.e., Less associated with paraneoplastic syndromes as compared to non small cell lung cancers Small cell lung cancer* Small cell carcinoma is a poorly differentiated neuroendocrine tumor that tends to occur as a central mass with endobronchial growth and is strongly associated with smoking.* Small cell carcinoma cells have scant cytoplasm, small hyperchromatic nuclei with a fine ("salt and pepper") chromatin pattern and prominent nucleoli. Tumors might be arranged in diffuse sheets of cells or may show neuroendocrine patterns such as rosettes, trabeculae, or peripheral palisading of cells at the periphery of nests. There is often widespread cellular necrosis.* Small cell carcinomas, more often than non-small cell carcinomas, may produce specific peptide hormones such as adrenocorticotrophic hormone (ACTH), arginine vasopressin (AVP), atrial natriuretic factor (ANF), and gastrin-releasing peptide (GRP)with distinctive paraneoplastic syndromes that prompt workup and eventual diagnosis